Causes of precocious puberty in girls are all except:
1. Hypothalamic hamartoma
2. Hypothyroidism
3. McCune Albright syndrome
4. Prader Willi syndrome

Correct answer: 4. Prader Willi syndrome

Explanation: d. Prader Willi syndrome(Ref: Nelson's 20/e p2673, Ghai 8/e p 534)Discussing about the options one by onea. Hypothalamic hamartomas that secrete excess gonadotropin-releasing hormone are responsible for a significant proportion of cases of precocious pubertyc. McCune-Albright syndrome is a cause of peripheral precocious puberty, where, cutaneous pigmentation and fibrous dysplasia of the skeletal system are also seend. In Prader Willi syndrome, there is hypogonadism; So, sexual development is delayedb. In hypothyroidism, though puberty is usually delayed in adolescents, pseudo precocious puberty may be seen in younger children, as a result of abnormally high TSH concentrations binding to FSH receptor with subsequent stimulation